Spastic ileus is seen in -
1. Porphyria
2. Retroperitoneal abscess
3. Hypokalemia
4. MI

Correct answer: 1. Porphyria

Explanation: Spastic, or dynamic ileus is rare and results from extreme and prolonged contraction of the intestine.
It is seen in
heavy metal poisoning           
porphyria
uremia                                             
extensive intestinal ulceration.